All are contents of inguinal canal except ?
1. Femoral branch of genitofemoral nerve
2. Ilioinguinal nerve
3. Round ligament of uterus
4. Spermatic cord

Correct answer: 1. Femoral branch of genitofemoral nerve

Explanation: Contents of inguinal canal Spermatic cord in male or round ligament of uterus in female. Ilioinguinal nerve : It enters through the interval between external and internal oblique muscles. Note: Genital branch of genitofemoral nerve is a component of spermatic cord (not femoral branch of genitofemoral nerve).